Treatment of choice to manage symphyseal fracture in a 8-year-old child is:
1. Intermaxillary fixation
2. Cap splint with circumferential wiring
3. Open reduction
4. No treatment indicated

Correct answer: 2. Cap splint with circumferential wiring